All are true about cephalhematoma except:
1. Occurs due to subcutaneous edema
2. Seen mostly over Parietal bone
3. Treatment is conservative
4. May require blood transfusion

Correct answer: 1. Occurs due to subcutaneous edema

Explanation: Cephalohematoma- These are cranial sub-periosteal hematomas They develop due to laceration of Emissary or Diploic veins Hemorrhage can be over 1 or both parietal bones It may require blood transfusion if hematoma is massive Treatment is mainly conservative.Large hematomas may require Aspiration /Surgical Intervention